True about rash of chickenpox
1. Centripetal
2. Deep Seated
3. Affectspalm
4. Slow to evolute

Correct answer: 1. Centripetal

Explanation: Rash of chicken pox : Superficial, unilocular, centripetal, pleomorphic, symmetrical, affects flexor surfaces and axilla, spares palms and sales, has inflammation around, rapid evolution and dew-drop on rose petal appeamace.